Late hyperglycemia in pregnancy is associated with/ can cause which of the following ?
1. Macrosomia
2. IUGR
3. Postmaturity
4. Congenital malformation

Correct answer: 1. Macrosomia

Explanation: Fetal overgrowth is more typical of gestational diabetes. Maternal hyperglycemia prompts fetal hyperinsulinemia and this is turn stimulates excessive somatic growth. Except for brain, most fetal organs are affected by the macrosomia that characterizes the fetus of a diabetic mother.